Infant mortality rate includes all of the following except:
1. Early neonatal deaths
2. Late neonatal deaths
3. Post neonatal deaths
4. Stillbirths

Correct answer: 4. Stillbirths

Explanation: Ans. d. Stillbirths (Ref: Park's 23/e p567 22/e p521)Infant mortality rate doesn't include stillbirths."Infant mortality rate includes early, late and post-neonatal deaths (from birth to 1 year of life)." Park's 22/e p521 Components of Infant MortalityNeonatal deaths: Deaths occurring during the neonatal period commencing from birth and ending 28 completed days after birthQ.Early neonatal deaths: deaths occurring during the first seven days from birthQLate neonatal deaths: deaths occurring from 7 days to 28 completed days after birthQ.Post-neonatal deaths: Deaths occurring from 28 days of life to under 1 yearQ.